Carbimazol is associated with all except -
1. Choanal atresia
2. Cleft lip and palate
3. Scalp defect
4. Neck swelling

Correct answer: 2. Cleft lip and palate

Explanation: Ans. is 'b' i.e., Cleft lip and palate Carbimazole causes o Scalp or patchy hair defect o Choanal atresia o Esophageal atresia o Psychomotor delay o Fetal goitre o Minor facial anomaly o Tracheoesophageal fistula o Hypoplastic or absent phalanges